Wood workers are associated with sinus Ca:
1. Adeno Ca
2. Squamous cell Ca
3. Anaplastic Ca
4. Melanoma

Correct answer: 1. Adeno Ca

Explanation: Ans. A Adeno Ca Ref. Dhingra 5th/ed p 219, 6th/ed p 205 Workers of furniture industry develop adenocarcinoma of the Ethmoids and upper nasal cavity. While those engaged in Nickel refining get squamous cell and Anaplastic carcinoma.